All of the following are larva control measures except -
1. Gambusia
2. Intermittent irrigation
3. DDT
4. Paris green

Correct answer: 3. DDT

Explanation: Antilarval measures of mosquito control are: Environmental control - Source reduction and minor engineering methods like filling, levelling and drainage of breeding places and water management(like intermittent irrigation) Chemical control -Mineral oils, Paris green, synthetic insecticides Biological control with gambusia and lebister which feed on larvae of mosquitos. Park's Textbook of Preventive and Social Medicine, 25th Edition, Pg 832